All are associated with MEN-2 except :
1. Phoeochromocytoma
2. Islet cell hyperplasia
3. Medullary carcinoma thyroid
4. Parathyroid adenoma

Correct answer: 2. Islet cell hyperplasia

Explanation: Islet cell hyperplasia /Ref: Harrison 17th/e p 2361 & 16thie p 2231 and Robbins 7th/e p. 12211 MULTIPLE ENDOCRINE NEOPLASIA (MEN) SYNDROMES MEN I MEN 2A MEN 2B Pituitary Adenomas[', Hyperplasia -- Parathyroid Hyperplasia AdenomasQ Hyperplasia or adenomas' Pancreatic islets Hyperplasia AdenoniasQ CarcinomasQ -- ___. Adrenal Cortical hyperplasia2 Pheochromocyt omae PheochromocytomaQ Thyroid -- C-cell hyperplasiaQ Medullary carcinoma C-cell hyperplasiao Medullary carcinomaQ Extraendocrine changes . Forcgut carcinoid0 * Subcutaneous or visceral . Dermal angiofibroma or collagenoma Cutaneous lichen amyloidosis Hirschsprung diseaseQ Mucosal and gastro intestinal neuroma, ganglio-neuromas, Marfanoid habitus Mutant gene locus MEN I RET RET